Catalase positive, coagulase negative beta hemolytic bacteria
1. Strep pyogens
2. Staph aureus
3. CONS
4. Enterococci

Correct answer: 3. CONS

Explanation: All staphylococci are catalase positive. Amongst staphylococci, Staph. aureus and Staph haemolyticus (CONS) are beta hemolytic. Most species of coagulase negative staphylococcus species are non-hemolytic except Staph. haemolyticus.